A 2 year old child presents with scattered lesions in the skull. Biopsy revealed Langerhans giant cells. The most commonly associated is marker with this candition will be
1. CD 1a
2. CD 57
3. CD 3
4. CD 68

Correct answer: 1. CD 1a

Explanation: In Langerhans cell histiocytosis,the hallmark feature is the presence of Birbeck granules on electron microscopy and positivity for S-100 protein and CD 1a. Reference:Essential pediatrics-Ghai,8th edition,page no:620.